Pisiform articulates with -
1. Scaphoid
2. Trapezium
3. Triquetral
4. Lunate

Correct answer: 3. Triquetral

Explanation: Ans. is 'c'i.e., Triquetral Carpal boneArticulating withScaphoidRadius, trapezium, trapezoid, lunate, capitateLunateRadius, capitate, hamate, scaphoid, triquetralTriquetralHamate, lunate, pisiformPisiformTriquetralTrapeziumScaphoid, trapezoid, 1st & 2nd metacarpalTrapezoidScaphoid, trapezium, capitate, 2nd metacarpalCapitateScaphoid, lunate, trapezoid, hamate, 2nd 3rd & 4th metacarpals HamateLunate, capitate, triquetral, 4th & 5th metacarpals